A 65-year-old patient presented to the medicine OPD with weakness and fatigue for 6 months along with some mild abdominal discomfort.On examination, moderate splenomegaly was noted. Lab findings Severe normocytic normochromic anemia Neutropenia with monocytopenia Thrombocytopenia. Bone marrow aspiration was done to look for the cause of decreased cell counts but the tap came 'dry'. So, a bone marrow biopsy was performed. BM Biopsy All of the following CD markers can be positive in above condition except : -
1. CD11c
2. CD103
3. CD117
4. CD25

Correct answer: 3. CD117

Explanation: This is a case of hairy cell leukemia. Bone marrow biopsy image shows the classical fried egg appearance. Flow cytometry study revealed that the cells were positive for CD11c, CD103, CD123 and CD25 and were also TRAP positive Treatment: - Splenectomy is often associated with prolonged remission. Nucleosides including cladribine and deoxycoformycin are highly active Interferon a is also an effective therapy but is not as effective as nucleosides. Chemotherapy-refractory patients have responded to vemurafenib, a BRAF inhibitor.